A young lady presents with lacy lesions in oral cavity and genitals, and her proximal nail fold has extended onto the nail bed. What is the likely diagnosis
1. Lichen planus
2. Candidiasis
3. Both
4. None

Correct answer: 1. Lichen planus

Explanation: A i.e. Lichen planus